Current mode of analgesia best for intrapartum pain relief?
1. Epidural analgesia
2. Spinal anaesthesia
3. Inhalational
4. Local analgesia

Correct answer: 1. Epidural analgesia

Explanation: Ans. is 'a' i.e., Epidural Analgesia Continuous lumbar epidural analgesia is the procedure of choice for pain relief during normal labour and vaginal delivery (Intrapartum pain).